An intern posted in medicine ward was reprimanded by the senior resident as he had forgotten to send the blood samples of a patient in the morning. Sometime later the same intern was heard shouting on the family member of a patient, who had come to inform him, that the normal saline drip that was being given to his patient needs to be changed. What defines mechanism is the intern using here-
1. Displacement
2. Projection
3. Intellectualisation
4. Reaction formation

Correct answer: 1. Displacement

Explanation: Here, the intern is displacing the anger for the senior resident towards the patients family member.This is a classical example of Displacement . Intellectualization -Excessive use of intellect to avoid painful emotions Reaction formation -Transforming an impulse into its exact opposite behavior Projection - Transfer of feelings about a person , on to , that person.